Which of the following promotes formation of Growth hormone?
1. Cortisol
2. REM sleep
3. Glucose
4. Glucagon

Correct answer: 4. Glucagon

Explanation: Ans. (d) Glucagon* GH secretion is regulated by GHRH released from hypothalamus in a pulsatile fashion.* Large burst of secretion occurs at night during the onset of deep sleep (NREM sleep).Stimuli that increase secretion of GHStimuli that decreases secretion of GH* Hypoglycemia* Sleep* Exercise* Glucose* Fasting* Cortisol* Protein meals* FFA* Stress* GH* Glucagon * Estrogens, androgens, L dopa and alpha adrenergics